Most sensitive indicator of iron deficiency anemia
1. Packed cell volume
2. Hemoglobin
3. Serum ferritin
4. Serum iron

Correct answer: 3. Serum ferritin

Explanation: Ans. (c) Serum ferritin(Ref: Robbins 9th/pg 649-652)Among the options provided, most sensitive marker in iron deficiency anemia is Serum ferritin.Serum ferritin reflects the storage of Iron which is decreased even in the pre-latent stage of Iron deficiency Anemia and is the most sensitive marker.